In a patient with a liver disease, which maneuvers, may lead to the development of hyperammonemia?
1. Protein restriction
2. The use of neomycin
3. The use of loop diuretics
4. A branched-chain amino acid-enriched protein mixture

Correct answer: 3. The use of loop diuretics

Explanation: The use of loop diuretics promotes kaliuresis and therefore may lead to hyperammonemia. Ref: Harrison; 19th edition